A patient presented with scarring alopecia, thinned nails, hyperpigmented macular lesions over the trunk and oral mucosa. Diagnosis is:
1. Psoriasis
2. Leprosy
3. Lichen planus
4. Pemphigus

Correct answer: 3. Lichen planus

Explanation: Scarring alopecia is found in LP and Leprosy both. But oral mucosal involvement and thinning of nails or the diagnosis of LP.